Atropine is added to commercial preparations containing diphenoxylate to:
1. Potentiate its anti-spasmodic effect
2. To reduce excretion of salt and water
3. To prevent overdosage and discourage opioid dependence
4. To prolong its duration of action

Correct answer: 3. To prevent overdosage and discourage opioid dependence